Estrogen replacement for post -- menopausal symptoms causes an increase in :
1. LDL
2. Cholesterol
3. VLDL
4. Triglycerides

Correct answer: 4. Triglycerides

Explanation: Ans. is d i.e Triglycerides Estrogen causes : -- plasma LDL -- T plasma HDL -- T Triglycerides It also increases blood coagulability by inducing formation of clotting factors Estrogen increases lithogenesity of bile.